Folate deficiency occurs due to
1. Phenytoin
2. Phenbarbitone
3. Primidone
4. All

Correct answer: 4. All

Explanation: Phenytoin , phenobarbitone and primidone(metabolized to phenobarbitone in body ) causes megaloblastic anemia as phenytoin decreases absorption and increases excretion of folate ref KD TRIPATHI 8TH ED.